Most common site for the osteoporotic vertebral fracture is -
1. Dorsolumbar spine
2. Cervical spine
3. Lumbosacral spine
4. Dorsal spine

Correct answer: 1. Dorsolumbar spine

Explanation: Ans. is 'a' i.e., Dorsolumbar spine o Osteoporosis is an asymptomatic disorder unless complications (predominantly fractures) occur,o Most common symptom of osteoporosis is back pain secondary to vertebral compression fracture.o Dorso-lumbar spine is the most frequent site.o Other common sites of fracture are lower end radius (Coile's fracture) and fracture neck femur.o Osteoporotic fracture (fragile fractures) are : (i) Fracture vertebrae (most common), (ii) Colie's fracture, (iii) Fracture neck femur.oSerum calcium, phosphate and alkaline phosphatase are normal in osteoporosis.